The longest acting, most potent and most toxic LA is:
1. Lidocaine
2. Dibucaine
3. Bupivacaine
4. Tetracaine

Correct answer: 2. Dibucaine